8 year old boy is brought with c/o progressive weakness & difficulty getting up the shows the following finding what is the MC type of mutation leading to this condition?
1. Inversion
2. Transrversion
3. Frame shift mutation
4. Splicing mutation

Correct answer: 3. Frame shift mutation

Explanation: Frame shift mutation Insertion or deletion of genes can alter the reading frame of the DNA Eg: Muscular dystrophy Mutation of DMD gene at Xp21 encodes dystrophin- sarcolemal Protein C/f : progressive weakness difficulty in getting up